A 64-year-old man presents with headache and left-sided upper extremity weakness. The MRI findings suggest that this is a glioblastoma multiforme. This is because the tumor exhibits which of the following?
1. It is regular in shape.
2. It is well demarcated from surrounding brain tissue.
3. It shows a ring pattern of enhancement with intravenous contrast and has a non-enhancing necrotic center.
4. It shows an absence of surrounding white-matter edema.

Correct answer: 3. It shows a ring pattern of enhancement with intravenous contrast and has a non-enhancing necrotic center.

Explanation: Glioblastoma multiforme grows rapidly, and the tumor often contains a necrotic core that occurs as its growth surpasses its blood supply. Additional features on MRI include irregular shape, poor demarcation from surrounding brain tissue, and the presence of variable amount of surrounding white-matter edema